Half-life of insulin is
1. 1-2 min
2. 4-6 min
3. 10-12 min
4. 12-16 min

Correct answer: 2. 4-6 min

Explanation: The half-life of insulin in the circulation in humans is about 5 min. Insulin binds to insulin receptors, and some are internalized. It is destroyed by proteases in the endosomes formed by the endocytotic process.Ref: Ganong's, Review of Medical Physiology, Twenty-Third Edition, Page number: 318